Father of Evidence Based Medicine is
1. Sackett
2. Da vinci
3. Hippocrates
4. Tolstoy

Correct answer: 1. Sackett

Explanation: Wrote the following books:
1. Clinical Epidemiology
2. Evidence Based Medicine